Klumpke's paralysis from a brachial plexus injury involves which of the following nerve cords?
1. C5, C6
2. C6, C7
3. C7, T1
4. C8, T1

Correct answer: 4. C8, T1

Explanation: Klumpke's paralysis is a form of paralysis involving the muscles of the forearm and hand, resulting from a brachial plexus injury in which the eighth cervical (C8) and first thoracic (T1) nerves are injured either before or after they have joined to form the lower trunk.